Mode of excretion of cyclophosphamide is -
1. Lung
2. Liver
3. Kidney
4. Skin

Correct answer: 3. Kidney

Explanation: Ans. is 'c' i.e., Kidney [Ref: style="font-size: 1.04761904761905em; font-family: Times New Roman, Times, serif; margin: 0 0 8pt 8px; text-indent: 0; text-align: left">o Cyclophosphomide is primarily metabolized (80%) and metabolites are excerted in urine.o 10 to 20% is excreted unchanged in urine and 4% is excreted in bile.